Malaria parasites -a) Has man as its intermediate hostb) Has a life cycle that alternates between man and tse-tse flyc) Has 4 important species in mand) Can be easily cultured in the laboratory
1. a
2. bc
3. ac
4. b

Correct answer: 3. ac